Calcium silicate based material is:
1. MTA
2. Geristore
3. Dieket
4. Retroplast

Correct answer: 1. MTA

Explanation: Mineral trioxide aggregate was developed by Dr Torabinejad in 1993. 
It contains tricalcium silicate, dicalcium silicate, tricalcium aluminate, bismuth oxide, calcium sulfate and tetracalcium aluminoferrite.
pH of MTA is 12.5.

Textbook of Endodontics Nisha Garg 3rd Ed